Which of the following metal ions is associated with secondary Parkinsonism -
1. Mangnese (Mn)
2. Magnesium (Mg)
3. Selenium (Se)
4. Molybdenum (Mo)

Correct answer: 1. Mangnese (Mn)

Explanation: Answer- A. Mangnese (Mn)Manganese ion exposure is implicated in free radical damage of the basal ganglia causing Parkinsonism.